What is the area of retina visualised under direct ophthalmoscope?
1. 1DD
2. 2DD
3. 3DD
4. 4DD

Correct answer: 2. 2DD

Explanation: Area of retina visualised under direct ophthalmoscope is 2DD. Image formed is virtual, erect and magnified 15 times. Area of retina visualised under indirect ophthalmoscope is 8DD. Image formed is real, inverted and magnified 4-5 times.